Most common site for genital tuberculosis is
1. Ovary
2. Uterus
3. Cervix
4. Fallopian tube

Correct answer: 4. Fallopian tube

Explanation: Fallopian tube